All of the following are true about Brugia malayi except-
1. The intermediate hosts in India are Mansoni
2. The tail tip is free from nuclei
3. Nuclei are blurred, so counting is difficult
4. Adult worm is found in the lymphatic system

Correct answer: 2. The tail tip is free from nuclei

Explanation: Ans. is 'b' i.e., Tail tip is from nuclei Microfilariae of B malayi . Smaller than W. bancrofti . The nuclei are blurred, hence counting is difficult. . Tail-tip is not free from nuclei. There are two discrete nuclei. . The cephalic space is longer. . The intermediate hosts for B. malayi are various species of mansonia.